Energy requirement for pregnant women doing moderate physical activity with body weight 55 kg
1. 2280
2. 2580
3. 2730
4. 2630

Correct answer: 2. 2580

Explanation: Group Category / Age Body weight (Kg) Net energy (Kcal/d) Protein (g/d) Man Sedentary work Moderate work Heavy work 60 2,320 2,730 3,490 60.0 Woman Sedentary work Moderate work Heavy work Pregnant woman Lactation 0-6 m 6-12 months 55 1,900 2,230 2,850 +350 +600 +520 55.0 78 74 68 Infants 0-6 months 6-12 months 5.4 8.4 92 kcal/Kg/d 80 kcal/kg/d 1.16g / kg/d 1.69 g/kg/d Children 1-3 years 4-6 years 7-9 years 12.9 18.0 25.1 1,060 1,350 1,690 16.7 20.1 29.5 Boys 10-12 years 34.3 2,190 39.9 Girls 10-12 years 35.0 2,010 40.4 Boys 13-15 years 47.6 2,750 54.3 Girls 13-15 years 46.6 2,330 51.9 Boys 16-17 years 55.4 3,020 61.5 Girls 16-17 years 52.1 2,440 55.5 Energy Requirements Adult Man: ~2300 kcal/day if sedentary level worker, ~2700 kcal/day if moderate level worker and 3500 kcal/day if heavy level worker. Adult Woman: ~1900 kcal/day if sedentary level worker, ~2200 kcal/day if moderate level worker and ~2900 kcal/day if heavy level worker. Infant 0-6months: 92 Kcal/Kg/d i.e. approx. 500 kcal/day and in infants 6-12 months: 80 Kcal/kg/d i.e. approx. 670kcal/day Additional energy requirements in pregnancy: +350 Additional energy requirements in lactation: in 0-6 months is +600 kcal/day and in 6-12 months is +520 kcal/day